DNA replication takes place in which phase of cell cycle -
1. M
2. G1
3. G2
4. S

Correct answer: 4. S

Explanation: Ans. is 'd' i.e., S o DNA replication (synthesis of DNA) occurs in 'S' phase.Cell cycle consists of:G1 : Presynthetic phase,''intervalS : Synthetic phase (DNA synthesis)G2 : Post synthetic phase/premitotic phase/intervalM : Mitotic phase : Cells are produced which either directly reenter next cycle or pass into non proliferativeG0 phaseG0 : Quiescent stateo There are two resting phases and two active phases in the cycle,o Resting phases - G1 & G2o Active phasesS-phase (synthetic phase) - As the name suggests, synthesis of new DNA takes place, i.e. doubling of DNA occurs.M-phase (mitotic phase) - Mitosis takes place and the daughter cells recieve one copy of DNA. In this phase cell number is doubled.